In a case of disputed paternity, father's blood group is A, mother's blood group is B, the child's blood group may be:
1. A only
2. B only
3. AB only
4. A, AB, B or O

Correct answer: 4. A, AB, B or O

Explanation: Ans. A, AB, B or O